Maffucci syndrome is associated with which bone tumor?
1. Enchondroma
2. Osteochondroma
3. Multiple myeloma
4. Chondrosarcoma

Correct answer: 1. Enchondroma

Explanation: Answer- A. EnchondromaEnchondroma is a benign tumor characterized by the formation of mature hyaline cartilage.The most common site is short tubular bones of hand, i.e., Phalanges (most common) and metatarsals. When tumor is located centrally in the bone, it is called enchondroma. When it islocated on the surface (juxtacortical) it is called chondroma.Mostly enchondtomas are solitary,however following syndromes may have multiple enchondroma:-Ollier's iliseaseMaffuccis syldrome